Good-pasture syndrome is not characterized by -
1. Anti GBM
2. Crescents
3. Pulmonary hemorrhage
4. Diffuse alveolar damage

Correct answer: 4. Diffuse alveolar damage

Explanation: There is focal necrosis (not diffuse) of alveolar walls